Which of the following neurotransmitters are decreased in alzheimers disease?
1. Acetylcholine
2. Norepinephrine
3. Corticotropin
4. All the above

Correct answer: 4. All the above

Explanation: Ans. is 'd' i.e., All the aboveRef - Niraj Ahuja &/e p. 25; Dementia by Brown and Hilhn like p. 60 ]Neurotransmitters in Alzheimer's disease:Acetylcholine has a major role in memory functions and deficiency in cholinergic functioning is associated with memory disturbances particularly short term memory.In Alzheimer's disease there loss of cells in the nucleus basalis of meyer net results in marked reduction in choline acetyltransferase (CHAT), an enzyme involved in the synthesis of acetylcholine + Decreased Acetylcholine.